Which drug should not be given in pregnancy?
1. Labetalol
2. ACE inhibitors
3. Hydralazine
4. Methyl dopa

Correct answer: 2. ACE inhibitors

Explanation: Ans. (B) ACE-inhibitors(Ref: KDT 8th/e p617)*ACE inhibitors and ARBs have fetopathic potential, therefore are contra-indicated in pregnancy.